All are features of Alport syndrome, except:
1. Hematuria
2. Sensorineural hearing loss
3. Lenticonus
4. Hypertelorism

Correct answer: 4. Hypertelorism

Explanation: Classic Alport syndrome is with hematuria, sensorineural deafness, and conical deformation of the anterior surface of the lens (lenticonus). Reference: Harrisons Principles of Internal Medicine, 18th Edition, Page 3213